Intellectual disability is seen in?
1. Phenylketonuria
2. Alkaptonuria
3. Albinism
4. Von Gierke disease

Correct answer: 1. Phenylketonuria

Explanation: Intellectual disability is feature of PKU due to elevated level of phenylalanine hydroxylase in brain.